Which of the following is a pro drug?
1. Hydralazine
2. Clonidine
3. Captopril
4. Enalapril

Correct answer: 4. Enalapril

Explanation: ACEI inhibitors are all prodrugs except captopril and ramipril. hydralazine is an arteriolar dilator enalapril is an ACEI inhibitor used in hypertensive emergencies. Ref: KDT 6/e pg 20.